Agranulocytosis is the fatal complication of which drug?
1. Risperidone
2. Clomipramine
3. Olanzapine
4. Clozapine

Correct answer: 4. Clozapine

Explanation: Ans. D. ClozapineSerious s/e of Clozapine:* Seizures: 5-10% risk: Dose related, increased risk at dosages >600mg* Agranulocytosis: risk-0.73% during 1st year, 0.07% in 2nd year* Myocarditis: incidence 2.8/100,000 pt-yrs* Increased Mortality in Elderly Patients with Dementia* Severe Cardiovascular and Respiratory EventsOther common side effects: Sialorrhea, Weight gain, Constipation, Diabetes mellitus